All of the following is less in CSF when compared to plasma Except
1. Glucose
2. Protein
3. Calcium
4. Chloride

Correct answer: 4. Chloride

Explanation: Plasma chloride level is 96-106meq/LCSF chloride level is 116-122meq/LReference: Harrison's Principles of Internal Medicine; 19th edition; Appendix; Laboratory values of clinical importance